Following are used in planning of Health education except –
1. Cover felt needs
2. Using simple words
3. Catchy slogans
4. Ensuring participation

Correct answer: 3. Catchy slogans

Explanation: The bublic is not interested in health slogans such as "take care of your heath" or "be healthy" . ______ Park
Felt needs

Felt needs is needs that the people feel about themselves.
If a health programme is based on "felt needs" people will gladly participate in the programme, and only then it will be a people's programme.
Very often, there are groups who may have health needs of which they are not aware.
The health educator will have to bring about a recognition of the needs before he proceeds to tackle  them.

Using simple words

In India, about 50% of the people are illiterate.
So, the health educator must use the simplest possible words.

Ensuring participation

Community participation is the key in health education.
Health education should aim at encouraging people to work actively with health workers and others in indentifying their on health problems and also in developing solutions and plans to work them out.